Electron Beam Radiotherapy is used in treatment of?
1. Deep Seated Brain Tumors
2. Skull Base Chordomas
3. Mycosis Fungoides
4. Lung Cancer

Correct answer: 3. Mycosis Fungoides

Explanation: Electron Beam Radiotherapy MC used for Intraopeive Used for Superficial Cancers like Mycosis Fungoides. Tumours of Eyelids & lips Skull Base Chordomas/Deep Seated Brain Tumors are usually treated by Proton Beam Radiotherapy